Which of the following drugs used to treat MDR TB can cause hypothyroidism:
1. Kanamycin
2. Pyrazinamide
3. Ethionamide
4. None of the above

Correct answer: 3. Ethionamide

Explanation: Adverse effects of Ethionamide Gastro-intestinal: epigastric discomfort, anorexia, nausea, metallic taste, vomiting, excessive salivation, and sulfurous belching Psychiatric: hallucination and depression Hepatitis Hypothyroidism and goitre with prolonged administration Gynaecomastia, menstrual disturbances, impotence, acne, headache, and peripheral neuropathy Ref: